Which of the following drugs can be given safely in pregnancy:
1. Propylthiouracil
2. Methotrexate
3. Warfarin
4. Tetracycline

Correct answer: 1. Propylthiouracil